Which of the following agents is used for day care surgery?
1. Propofol
2. Thiopentone
3. Diazepam
4. Ketamine

Correct answer: 1. Propofol

Explanation: Propofol produces quick induction(30 sec) and rapid recovery(4 min)from a single dose. Because of rapid recovery it is preferred for day cases. Thiopentone duration of action is 4-7min. And ketamine10-15min but amnesia lasts for 1-2 hours. From padmaja 4th edition Page no 194, 195, 196